A newborn has multiple congenital defects owing to dysgenesis of neural crest cells. Which of the following cells is most likely to be spared
1. Melanocytes
2. Motor neurons
3. Parafollicular cells
4. Spinal ganglion cells

Correct answer: 2. Motor neurons

Explanation: Motor neurons (option 2) develop from neural tube (Neural plate ectoderm), hence may not be affected in dysgenesis of neural crest cells (NCCs). Melanocytes (option 1) , Parafollicular cells (option 3) or spinal ganglion cells (option 4) are derived from NCCs, and are compromised in this scenario.